Artery of hindgut is
1. Descending artery
2. Superior mesenteric artery
3. Inferior mesenteric artery
4. Coeliac trunk

Correct answer: 3. Inferior mesenteric artery

Explanation: Arterial supply of hindgut is inferior mesenteric artery imageref - researchgate.net